Isotope used in myocardial perfusion scan is – a) Technetiumb) Thalliumc) Stannous pyrophosphated) Gallium
1. ab
2. a
3. ad
4. bc

Correct answer: 1. ab

Explanation: Perfusion Scan   → Thallium (mc), technetium, MIBI.
Infarct Scan       →  Technetium pyrophosphate.